The following is true about the term 'New Families'?
1. It is a variant of the 3-generation family
2. It is applied to ail nuclear families of less then 10 years duration
3. It is a variant of the joint family
4. It is applied to all nuclear families of less then 2 years duration.

Correct answer: 2. It is applied to ail nuclear families of less then 10 years duration

Explanation: Ans. is 'b' i.e., It is applied to all nuclear families of less then 10 years duration o The term new family has recently come into vogue, it applies to all nuclear families which are less than 10 years of duration.